The most common pattern of radiation caries is:
1. Widespread superficial lesions attacking buccal, occlusal, incisal, and palatal surfaces.
2. Involving primarily the cementum and dentin in the cervical region
3. Dark pigmentation of the entire crown
4. All of the above

Correct answer: 1. Widespread superficial lesions attacking buccal, occlusal, incisal, and palatal surfaces.

Explanation: Radiation caries is a rampant form of dental decay that may occur in patients with radiation-induced xerostomia. Clinically, three patterns of radiation caries exist. The most common is widespread superﬁcial lesions attacking buccal, occlusal, incisal, and palatal surfaces. Another type involves primarily the cementum and dentin in the cervical region. These lesions may progress around the teeth circumferentially and result in loss of the crown. The third type appears as a dark pigmentation of the entire crown. The incisal edges may be markedly worn. Combinations of all these lesions develop in some patients. The location, rapid course, and widespread attack distinguish radiation caries.
There is also evidence that radiation caries is more likely to lead to periapical inﬂammatory lesions, if the periapical bone received a high dose of radiation.